Drug of choice to treat attention- deficit/hyperactivity disorder?
1. Haloperidol
2. Clonidine
3. Methylphenidate
4. Diazepam

Correct answer: 3. Methylphenidate

Explanation: Ans. C. MethylphenidateTreatment: Pharmacotherapy: first line of treatment1. CNS stimulants- DOC, C/I with known cardiac risks & abnormalitiesa. Methylphenidate (Short& sustained release preparations)-dopamine agonist (DOC)S/E- Headache, stomach, Nausea, insomniaRebound effects: mild irritability, Exacerbates ticsPotential growth suppression-drug holidays